True about Fovea palatini:
1. They are always on the soft palate.
2. They are at the junction of the soft and hard palate.
3. They are present at the hard palate.
4. They are formed by the coalescense of several sebaceous glands.

Correct answer: 1. They are always on the soft palate.

Explanation: The fovea palatini are indentations near midline of the palate, formed by coalescence of several mucous gland ducts. They are always on the soft palate, 2 mm behind the vibrating line.